Cells are most sensitive to radiation in:
1. G2 phase
2. G1 phase
3. G1 phase and early S phase
4. G2 phase and late S phase

Correct answer: 1. G2 phase